Which of the following is characterstic sign of diabetic retinopathy?
1. Increase in pericytes
2. Thinned out capillary basement membrane
3. Lipohyaline deposits
4. Proliferation of endothelial cells

Correct answer: 4. Proliferation of endothelial cells

Explanation: The pathogenesis of Diabetic retinopathy is microangiopathy which occurs due to microvascular occlusion & leakage. There is degeneration and loss of pericytes in capillaries--> microvascular proliferation of endothelial cells -->thickening of basement membrane-->narrowed lumen of vessels.